The most important single special investigation in lumbar disc prolapse is
1. Epidurography
2. Myelography
3. MRI
4. Discography

Correct answer: 3. MRI

Explanation: C i.e. MRI